The umbilical cord is shed off by
1. 2-4 days
2. 1-2 weeks
3. 2-4 weeks
4. 1-2 months

Correct answer: 2. 1-2 weeks

Explanation: The umbilical cord stump usually dries and shrivels up and is shed off by 1-2 weeksThe parents must look out for signs of redness, swelling, and edema with pus discharge around the stump. These might indicate infection-Omphalitis(Refer: Nelson's Textbook of Pediatrics, SAE, 1st edition, pg no. 890, 811)